Case of sheehan syndrome comes with unresponsive hypotension. What is the treatment of choice
1. Hydrocortisone
2. Thyroxine
3. Labetalol
4. Epinephrine

Correct answer: 1. Hydrocortisone

Explanation: Important treatment for sheehan syndrome is supplementation of glucocorticoids.